Most common cause of facial palsy:
1. Post-operative
2. Trauma
3. Ramsay Hunt syndrome
4. Bell's palsy

Correct answer: 4. Bell's palsy

Explanation: (d) Bell's palsy(Ref. Scott Brown, 6th ed., 1400)The MC cause of facial nerve palsy is idiopathic. The MC idiopathic facial nerve palsy is Bell's palsy.The second most common cause of facial nerve palsy is iatrogenic. The most common iatrogenic cause of facial nerve palsy is parotid surgery followed by mastoid surgery.Non iatrogenic trauma causing temporal bone fractures can lead to facial nerve palsy. Here transverse fractures leads to facial nerve palsy more commonly than the longitudinal fractures.Ramsay Hunt syndrome is an infective cause of facial nerve palsy due to Herpes zoster.